all are Steps used in Six-sigma except -
1. Define
2. Analyze
3. Improve
4. Feed back

Correct answer: 4. Feed back

Explanation: Ans- "D" Feed backSix Sigma requires five steps for quality improvement?Define -+ Define the problem, clarify and relate it to the custmer. Who are the patient's, and what they want? What are the objectives?Measure - Measure your target metric and know your measure is good. What will improvement look line? On what data will our effect measured.Analyze -+ Look for root cause and generate a prioritized listing of them - collect data and analyze using proven tools.Improve - Determine and confirm the optimal solution - Implement modification to improve the process.Control - Be sure the problem does not come back and sustain it Monitor performance to maintain improvement. Popular outcomes from Six - Sigma Increased patient satisfaction and care, Fewer complaints, Increased prescription, accuracy, Reduced waiting time and variation, Safer and more efficient emergency services, Fewer medical errors defects, Increased physician satisfaction.